Olfactory hallucinations are seen in:
1. Temporal lobe epilepsy
2. Alzheimer's disease
3. Mesial temporal sclerosis
4. All

Correct answer: 4. All

Explanation: A,B,C All Correct